Most common symptom of alcohol withdrawal is:
1. Bodyache
2. Tremor
3. Diarrhea
4. Rhinorrhea

Correct answer: 2. Tremor

Explanation: Ans. Tremor